A 45-year-old smoker presents with sudden onset unrelenting chest pain with loss of peripheral pulses. BP measured in both arms is different. First differential diagnosis is?
1. Mirizzi syndrome
2. Aortic dissection
3. Viral pericarditis
4. Spontaneous pneumothorax

Correct answer: 2. Aortic dissection

Explanation: Ans. B Aortic dissectionRef: CMDT 2019, page 28The clinical presentation of chest pain with loss of peripheral pulses points to diagnosis of aortic dissection. The antegrade progression of tear leads to unequal BP between left and right arms.